Epidemiological transition ratio is defined as:-
1. Ratio of DALYs caused by CMNNDs to those caused by NCDs and injuries
2. Ratio of YLL caused by CMNNDs to those caused by NCDs and injuries
3. Ratio of YLL caused by NCDs and injuries to those caused by CMNNDs
4. Ratio of DALYs caused by NCDs and injuries to those caused by CMNNDs *CMNNDs (Communicable, Maternal, Neonatal and Nutritional diseases)

Correct answer: 1. Ratio of DALYs caused by CMNNDs to those caused by NCDs and injuries

Explanation: Epidemiological Transition Ratio is defined as the ratio of DALYs caused by CMNNDs (Communicable, maternal, neonatal, and nutritional diseases) to those caused by NCDs and injuries. A ratio >1 indicates a higher burden of CMNNDs than NCDs and injuries, while a ratio <1 indicates the opposite. The lower the ratio, the greater the contribution of NCDs and injuries to a state's overall disease burden.